Culture media used for diagnosis of EHEC O157:H7 is-
1. O culture
2. Sorbitol MacConkey media
3. XLD agar
4. Deoxycholate media

Correct answer: 2. Sorbitol MacConkey media

Explanation: EHEC can be differentiated from other E.coli as it is sorbitol non fermenter, hence it produces colorless colony on Sorbitol MacConkey media whereas others can ferment sorbitol producing pink colony.